Pseudohyponatremia can be seen in -
1. Multiple myeloma
2. Diarrhea
3. Vomiting
4. CHF

Correct answer: 1. Multiple myeloma

Explanation: Ans. is 'a' i.e., Multipe myeloma Causes of Hyponatremia* Pseudohyponatremia# Hyperlipidemia# Hyperproteinemia (multiple myeloma, macroglobulinemia)* Dilutional# Hyperglycemia* Hypovolemic hyponatremia : decreased total body sodium with a relatively greater increase in total body water# Heart failure# Chronic renal failure# Hepatic failure or cirrhosis* Euvolemic hyponatremia : Increased Total body water with nearly normal total body sodium# SIADH# Drugs causing DIADH (diuretics, barbiturates, carbamazapine, chlopropamide, clofibrate, opioids, tolbutamide, vincristine psychogenic polydipsia# Beer potomaria# Hypothyroidism# Adrenal insufficiency# MDMA (ecstasy)# Accidental or intestional water intoxication# MDMA, N-methyl-3,4 methylenedioxy amphelamine; SIADH, syndrome of inapproprfate secretion of antidiuretic hormone.# Hyperglycemia is retened by some as pseudohyponumia, but hyperglycemia is acrually a dilutional hyperglycemia.